Infamous conduct comprises of all, except:
1. Adultery
2. Advertising
3. Procuring criminal abortion
4. Examining a patient without consent

Correct answer: 4. Examining a patient without consent

Explanation: Ans. Examining a patient without consent